Most common presentation in nasopharyngeal carcinoma:
1. Epistaxis
2. Hoarseness of voice
3. Nasal stuffiness
4. Cervical lymphadenopathy

Correct answer: 4. Cervical lymphadenopathy

Explanation: Cervical lymphadenopathy is the M/C presentation of nasopharyngeal carcinoma. It may be the only manifestation in some cases.